On performing refraction using plane mirror on a patient who's has a refractive error of -3 D sphere with -2 D cylinder at 90 degree from a distance 1 metre under no cyclopgia, the reflex would be seen to move
1. With the movement in the horizontal axis and against the movement in the vertical axis
2. With the movement in both the axis
3. Against the movement in both the axis
4. With the movement in the vertical axis and against the movement in horizontal axis

Correct answer: 3. Against the movement in both the axis

Explanation: Error of -3 D sphere that is person using concave sphere(diverging) advised in cases of myopia. Reflection of ligth with Retinoscope 1. Against / opposite movement : Myopia > -1 2. With / same movement Myopia < -1 or Emmetropia = 1 or Hypermetropia = + value 3. No movement Myopia = -1 This patient is having a -3DS with -2DC x 90 - compound myopic astigmatism, so the reflex would move in opposite direction to the beam irrespective of the axis